t (2;8) is characteristically seen with -
1. Pre B cell lymphoma
2. Pre T cell lymphoma
3. Burkitt's lymphoma
4. Montel cell lymphoma

Correct answer: 3. Burkitt's lymphoma

Explanation: ll types of Burkitt lymphoma are characterized by dysregulation of the c-myc gene by one of three chromosomal translocations. This gene is found at 8q24. The most common variant is t(8;14)(q24;q32), which accounts for about 85% of cases. This involves c-myc and IGH. A variant of this, a three-way translocation, t(8;14;18), has also been identified. A rare variant is at t(2;8)(p12;q24). This involves IGK and c-myc. Another rare variant is t(8;22)(q24;q11). This involves IGL and c-myc. Combined, the two less-common translocations, t(2;8)(p12;q24) and t(8;22)(q24;q11), account for the remaining 15% of cases not due to the t(8;14)(q24;q32) translocation.